Basement membrane consists of all except:
1. Laminin
2. Nidogenin
3. Entactin
4. Rhodopsin

Correct answer: 4. Rhodopsin

Explanation: D i.e. Rhodopsin